Which one of the following is an adverse effect associated with combined oral contraceptives ?
1. Cerebral stroke
2. Aggravation of asthma
3. Peripheral neuropathy
4. Nephrotic syndrome

Correct answer: 1. Cerebral stroke

Explanation: Ans. is 'a' i.e., Cerebral stroke Important adverse effects of OCPs are : (1) Nausea, vomiting, headache (worsening of migraine), (2) breakthrough bleeding, (3) mastalgia, (4) weight gain, (5) acne and hirsutism, (6) cholasma and pruritis, (7) carbohydrate intolerance, (8) leg vein and pulmonary thrombosis, (9) coronary and cerebral thrombosis (MI & stroke), ( 10) hypertension, (11) increased risk of breast and cervical carcinoma, (12) benign hepatoma, (13) gall stones, (14) precipitation of acute intermittent porphyria.